A 26 year old presents with history suggestive of tuberculosis. On examination he has pleural effusion. All of the following parameters will be used for analysis of pleural fluid except?
1. Gene XPERT
2. LDH
3. Albumin
4. ADA

Correct answer: 3. Albumin

Explanation: Pleural effusion in TB could be a presentation of primary TB due to sub-pleural location of Ghon's focus or can present as extrapulmonary TB. Gene XPERT is a nucleic acid amplification based test which in matter of few hours can tell if MTB is present and can also determine resistance. The values of LDH are taken in Light's criteria for pleural effusion to determine exudative nature of the fluid Adenosine deaminase has 90% sensitivity and 92 % specificity for determining the tubercular nature of fluid. Albumin values in serum and ascitic fluid are evaluated in patients of Ascites